Which one of the following is not a feature of Gullain Barre syndrome ?
1. Albumino-cytological dissociation
2. Transient bladder disturbances
3. Areflexia
4. Babinski plantar response

Correct answer: 4. Babinski plantar response